Which of the following statements about Mallory Weiss Syndrome are true:
1. Presents with hemoptysis
2. Shows transmural rupture
3. Chest pain and shortness of breath
4. Shows mucosal tear

Correct answer: 4. Shows mucosal tear

Explanation: Answer is D (Mucosal tear) Mallory-Weiss Syndrome is associated with a tear of the gastric mucosa near the squamocolumnar mucosa! junction Mucosal Tear (Mallory-Weiss Syndrome) The tear usually involves the gastric mucosa near the squamocolumnar mucosal junction near cardia This tear is usually caused by vomiting, retching, or vigorous coughing. The tear is usually linear. Patients present with upper gastrointestinal bleeding (Hemetemesis) Association with alcoholism and hiatus hernia In most patients, bleeding ceases spontaneously (Continued bleeding may respond to vasopressin therapy or angiographic embolization. Surgery is rarely needed)